Anchorage in removable appliances is provided by:
1. Acrylic base only
2. Teeth
3. Acrylic base and teeth
4. Retentive clasps

Correct answer: 3. Acrylic base and teeth